The velocity of blood is maximum in the
1. Large veins
2. Small veins
3. Venules
4. Capillaries

Correct answer: 1. Large veins

Explanation: Large veins have so little resistance to blood flow when they are distended that the resistance then is almost zero and is of almost no importance. Ref: Guyton and Hall textbook of medical physiology 13th edition. Page: 184